Fibrosis is due to -
1. TGF-β
2. TNF -α
3. IL-7
4. IL-10

Correct answer: 1. TGF-β

Explanation: Growth factors and cytokines involved in regeneration and wound healing